In periapical X-ray, the radiodensity of the root is seen as 'Fast break"
1. Bifurcation of canal
2. Calcification of canal
3. Excessive curvature of root canal
4. Meeting of canals

Correct answer: 1. Bifurcation of canal